Meckel's diverticulum is best diagaEUR' nosed by:
1. X-ray
2. Ultrasound
3. CT scan
4. Tc99 pertechnetium scan

Correct answer: 4. Tc99 pertechnetium scan

Explanation: Tc99 pertechnetium scan